True about head circumference measurement -
1. Measured in supra-orbital ridge
2. Measured hydrocephalus/microcephaly
3. Serial measurement is useful
4. All

Correct answer: 4. All

Explanation: Ans. is All Options 'a' o Head circumference is measured from the occipital protuberance to the supraorbital ridge on the forehead. Option `b' o If the head circumference growth exceeds 1 cm in 2 weeks during the first 3 months, hydrocephalus should be suspected. o In microcephally head circumference is two standard deviation below the mean for age and sex. Option `c o Head circumference measurements that progressively drop to lower percentiles with increasing age are indicative of a process or condition that has impaired the brain's capacity to grow. o So, serial measurement helps to assess neurological development and pediatric intelligence.